Blow out fracture of orbit commonly produces
1. Deviation of septum
2. Retinal haemorrhage
3. Fracture of nasal bones
4. Fracture of floor of orbit

Correct answer: 4. Fracture of floor of orbit

Explanation: (D) Fracture of floor of orbit # Blow out fracture of orbit; Intraorbital haemorrhages, proptosis, paralysis of extrinsic muscles and fracture of the floor of the orbit are not infrequent following a blunt injury to the orbital region> Proptosis develops due to reactive oedema and intra-orbital haemorrhage.> Partial or complete ophthalmoplegia occurs as a result of injury to the muscles or due to profuse orbital oedema.> In the fracture of the floor of orbit, the eyeball is depressed into the maxillary antrum & the inferior rectus and inferior oblique muscles are entrapped causing diplopia.> There occurs limitation of upward gaze, and downward gaze may also be reduced because of the pinched inferior rectus muscle in between the chips of the broken bone> A positive forced duction test, downwards and inwards displacement of the globe and radiological evidence virtually confirm the diagnosis of blowout fracture with incarcerated orbital tissue.> The fracture of the base of skull implicates optic foramen and may cause optic atrophy or pulsating exophthalmos.> The fracture of the optic canal is characterised by a wound at the lateral part of the eyebrow, loss of direct homolateral pupillary reaction and hemianopic field defects.> The patient may suffer from epistaxis and varying periods of unconsciousness.> The pallor of the optic disc may be noticed 2-3 weeks after the injury. Serial radiological tomograms taken at one minute intervals may confirm the diagnosis.